Fenestration operation is which type of tympanoplasty?
1. Type - 2
2. Type - 3
3. Type - 4
4. Type - 5

Correct answer: 4. Type - 5

Explanation: Types of Tympanoplasty Wullstein classified tympanoplasty into five types . Type I Defect is perforation of tympanic membrane which is repaired with a graft. It is also called myringoplasty. Type II Defect is perforation of tympanic membrane with erosion of malleus. Graft is placed on the incus or remnant of malleus. Type III Malleus and incus are absent. Graft is placed directly on the stapes head. It is also called myringostapediopexy or columella tympanoplasty. Type IV Only the footplate of stapes is present. It is exposed to the external ear, and graft is placed between the oval and round windows. A narrow middle ear (cavum minor) is thus created to have an air pocket around the round window. A mucosa-lined space extends from the eustachian tube to the round window. Sound waves in this case act directly on the footplate while the round window has been shielded. Type V Stapes footplate is fixed but round window is functioning. In such cases, another window is created on horizontal semicircular canal and covered with a graft. Also called Fenestration operation. Re: Textbook of Ear, Nose and Throat, Dhingra, 6th Edition, page 30.